According to Stone and Church's classification, John, age
4, can be classified developmentally as:
1. Toddler
2. Preschooler
3. Middle years child
4. Adolescent

Correct answer: 2. Preschooler